Northern bioting is used for seperation of?
1. DNA
2. RNA
3. Proteins
4. None

Correct answer: 2. RNA

Explanation: ANSWER: (B) RNAREF: Microbiology 24th ed Chapter 7 Microbial GeneticsHybridization of DNAto RNA by Northern blots can provide quantitative information about RNA synthesis. Specific DNA sequences in restriction fragments separated on gels can be revealed by Southern blots, a method that uses hybridization of DNA to DNA. With Western blots, another frequently employed detection technique, antibodies are used to detect cloned genes by binding to their protein products.Remember that there is no such thing called as Eastern blot. All the blotting techniques can be remembered with the Mnemonic: SNOW-DROPS-Southern blotD-DNAN-Nouthem blotR-RNAO-(zero) No Eastern blotO-(zero) No Eastern blotW- Western blotP-Protein